All of the following are true for lupus anticoagulant syndrome except:
1. Recurrent abortions
2. Arterial thrombosis
3. Thrombocytosis
4. Cardiac valve vegetations

Correct answer: 3. Thrombocytosis

Explanation: Ans. C: ThrombocytosisAntiphospholipid antibody syndrome/lupus anticoagulant syndrome has following manifestations:Recurrent thrombosesRepeated miscarriagesCardiac valve vegetationsThrombocytopenia